Vigabatrin acts through -
1. decreasing GABA uptake at synaptic cleft
2. Increasing GABA uptake at synaptic cleft
3. GABA transaminase inhibitor
4. GABA transacetylase inhibitor

Correct answer: 3. GABA transaminase inhibitor

Explanation: Ans. is 'c' i.e., GABA transaminase inhibitor Vigabatrin (g vinyl GABA)* It is a newer anti - convulsant which is an inhibitor of enzyme GABA transaminase; it thus increases GABA concentration at synapse.* It is mainly used in patients with refractory epilepsy visual field defects and behavioural changes restricts its use.